The corticosteroid without any glucocorticoid activity is-
1. Aldosterone
2. Fludrocortisone
3. DOCA
4. Cortisol

Correct answer: 3. DOCA

Explanation: Ans. is 'c' i.e., DOCA Mineralocroticoid with no glucocorticoid activity --> Desoxycoicosterone acetate (DOCA)..